The most common cause of seizures in children with diarrhea is:
1. Hypokalemia
2. Hyperkalemia
3. Hyponatremia
4. Hypernatremia

Correct answer: 3. Hyponatremia

Explanation: Answer is C (Hyponatremia): The most common cause of seizures in children with diarrhea is hypovolemic hyponatremia. Diarrhea may be associated with hypovokmic hyponatremia or hypernatremia from hypotonic fluid loss. Both hyponatremia and kpernatrentia may manifest with seizures. However Hyponatremia remains the most common electrolyte abnormality in diarrhea encountered in clinical practice and is hence the single best Answer of choice amongst the options provided.